Which antiglaucoma drug decreases aqueous formation ?
1. Prostaglandins
2. Beta - blockers
3. Mannitol
4. Pilocarpine

Correct answer: 2. Beta - blockers

Explanation: Ans. is 'b' i.e., Beta - blockers